Waxy flexibility is a feature of ?
1. Echupraxia
2. Catatonia
3. Stereotype
4. Mannerism

Correct answer: 2. Catatonia

Explanation: Ans. is 'b' i.e., Catatonia Disorders of motor activity Disorder of motor activity may be :? Mannerism :- Odd, repetitive and goal directed movements, e.g., waving, saluting. Stereotype :- Odd, repetitive movements which are not goal directed e.g., rocking to and fro. Repetition of speechs (words, phrases) may also occur. Sterotype occur without any stimulus. Perseveration :- There is persistent repetition of movement or speech, beyond fulfilment of purpose. Patient is unable to stop the action or speech beyond fulfilment of purpose. Perseveration is goal directed and requires external stimulus (in contrast to stereotypy). Note : Sterotypy and perseveration may be seen either as speech disturbance or as motor activity disturbance, i.e., repetion of speech or movemnt. Echopraxia :- Patients senselessly repeat the movement of others around them (associated with echolalia). TIC :- Sudden, involuntary, rapid, recurrent non-rhythmic motor movements. Catatonia :- Catatonia is characterized by a marked disturbance of motor behaviour. Most common cause of catatonia is schizophrenia, However it may also occur in depression, Mania, conversion - dissociative disorders, reactive psychosis, hypnosis, anxiety disorders and many medical disorders. Catatonia may be of following types :- Catatonic excitment :- Excited, uncontrolled motor activity, not influenced by external stimuli. Catatonic posturing :- Voluntary adoption of an unusual or bizarre position that is then maintained for some time. Catatonic rigidity :- Maintaining a fixed position and rigidity resisting all attempts to be moved. Waxy flexibility (flexibilitas cerea or catalepsy) : - Maintaining of particular posture imposed on the patient by examiner, even if the posture is bizzare and uncomfortable, i.e., patient can he moulded like wax into a position that is then maintained. Catatonic stupor :- Patient is mute and immobile (akinetic mutism) but fully conscious. Catatonic negativism .- A seemingly motiveless resistance to all instructions or attempts to be moved. Automatic obedience :- Exactly reverse to negativism, i.e., unhesitating compliance to all instructions without apparent conscious control.